Abduction of the thigh is limited by:
1. Ischiofemoral ligaments
2. Pubofemoral ligaments
3. Iliofemoral ligaments
4. Sacroiliac ligament

Correct answer: 2. Pubofemoral ligaments

Explanation: Ans. B: Pubofemoral ligaments